Propaganda is defined as -
1. Forcing of knowledge into mind
2. Active aquiring of knowledge
3. Requiring knowledge after thinking
4. Training people to use judgement before thinking

Correct answer: 1. Forcing of knowledge into mind

Explanation: - propaganda is one in which knowledge is instilled in the minds of people. - prevents or discourage thinking by ready made slogans. - knowledge is spoon fed and passively received. Reference : Park's textbook of preventive and social medicine, 23rd edition, pg no:859